Commonest site for carcinoma of the breast-
1. Lower inner quadrant
2. Nipple
3. Upper inner quadrant
4. Upper outer quadrant

Correct answer: 4. Upper outer quadrant